Adoptive immunity is by:
1. Infection
2. Injection of antibodies
3. Injection of lymphocytes
4. Immunization

Correct answer: 3. Injection of lymphocytes

Explanation: Ans. is 'c' i.e., Injection of lymphocytes(Ref: Jawetz, 27th/e, p. 130)* An extract of immunologically competent T - lymphocytes, known as transfer factor can be used in the treatment of lepromatous leprosy when CMI is low.